Expression and consequent release of previously repressed emotion is called as
1. Regression
2. Dissociation
3. Abreaction
4. All of the above

Correct answer: 3. Abreaction

Explanation: * The expression and consequent release of a previously repressed emotion, achieved through reliving the experience that caused it. * Done typically through * Hypnosis * Suggestion REF: DAVIDSONS 10TH ED